Primary auditory cortex in human beings is located in:
1. Postcentral gyrus
2. Posterior part of parietal lobe
3. Limbic system
4. Superior part of temporal lobe

Correct answer: 4. Superior part of temporal lobe

Explanation: The auditory cortex (areas 41 & 42) is located in the superior temporal gyrus in temporal lobe Postcentral gyrus: In the parietal lobe there is somatosensory cortex (S I) - areas 3, 1, and 2 Posterior parietal cortex (PPC): Posterior to the S I, this area harbors S II (areas 5 & 7). It receives inputs from S I, and visual & auditory cortices. The area is concerned with visuo-spatial orientation and performance of a planned movement.